The drug of choice for mushroom poisoning-
1. Adrenaline
2. Physostigmine
3. Atropine
4. Carbachol

Correct answer: 3. Atropine

Explanation: Ans. is 'c' i.e., Atropine Mushroom poisoning o Depending on the toxic principal present in the particular species, at least 3 types of mushroom poisoning is known. 1. Muscarine type (early mushroom poisoning) Due to Inocybe and related species. Symptoms are due to muscarinic action. T/t of choice is atropine. 2. Hallucinogenic type o It is due to muscimol and other isoxazole compounds which are present in A. muscaria. o These isoxazole compounds activate amino acid, receptors, and block muscarinic receptor in brain; and have hallucinogenic property. o Manifestations are primarily central. o There is no specific treatment and atropine is contraindicated. o Another hallucinogenic mushroom is Psiloocybe mexicana whose active principal Psilocybine is a tryptaminergic compound (this has been added to 6th/e of KDT). 3.Phalloidin type (late mushroom poisoning) o Due to peptide toxin found in A. phalloides and Galerina. o These inhibit RNA & protein synthesis. o Symptoms are due to damage to the GI mucosa, liver and kidney. o Treatment is supppoive, Thiotic acid may be used.